Retinal tears seen most commonly seen in ?
1. Primary retinal detachment
2. Secondary retinal detachment
3. Tractional retinal detachment
4. Exudative retinal detachment

Correct answer: 1. Primary retinal detachment

Explanation: Ans. is 'a' i.e., Primary retinal detachment Retinal detachment is a disorder of eye in which retina peels away from its underlying layer of support tissue. Usually there is separation between the neuroepithelium (neurosensory epithelium) and the pigmented layer. The retinal separation is divided into: 1) Primary :- Rheugmatogenous retinal detachment. 2) Secondary :- Tractional retinal detachment and exudative retinal detachment. Rhegmatogeneous retinal detachment This is the commonest type of retinal detachment. This is due to a retinal break/tear/hole which allows the liquid vitreous to seeps into the subretinal space and separates the sensory retina from the pigmentary epithelium. Predisposing factors include : (i) Myopia, (ii) Previous intraocular surgery : cataract extraction, (aphakia) or pseudoaphakia); (iii) Trauma; (iv) Retinal degeneration (Lattice degeneration; Snail track degeneration, Senile or degenerative retinoschisis. Tractional retinal detachment It is due to pulling on the retina usually from fibro-vascular band in the vitreous cavity, i.e., vitroretinal band. Exudative retinal detachment (solid retinal detachment) It occurs due to the retina being pushed away by accumulation of fluid or a neoplasm beneath the retina. This type of detachment is caused by inflammatory disorders or by tumors.